Fracture shaft femur in adults usually unites by
1. 1 month
2. 3-4 months
3. 6-7 months
4. 1 year

Correct answer: 2. 3-4 months